Inclusion body conjunctivitis true is all except –
1. Self limiting
2. Present only in infants
3. Occurs while passage from birth canal
4. Caused by chlamydia

Correct answer: 2. Present only in infants

Explanation: Inclusion body conjunctivitis is caused by Chlamydia trachomatis, and can affect both infants (ophthalmia neonatorum) and adults (adult inclusion body conjunctivitis).
Neonatal infection may be acquired during birth from infected birth canal (more common) or after birth.